Problem village if water is in depth more than
1. 5 mts
2. 10 mts
3. 15 mts
4. 20 mts

Correct answer: 3. 15 mts

Explanation: A "problem Village" has been defined as one where :No source of safe water is available within a distance of 1.6 km ORWater source has excess salinity, iron, fluorides & other toxic elements ORWater is exposed to the risk of choleraWater is available at a depth of more than 15 mts OR